Medusa head colonies on nutrient agar is seen in?
1. Pneumococcus
2. Legionella
3. Brucella
4. Anthrax

Correct answer: 4. Anthrax

Explanation: Ans. is 'd' i.e., Anthrax BACILLUS ANTHRACIS Morphology ? Gram positive Non motile (all other members of genus Bacillus are motile) Arranged singly, in pairs or in short chains Capsulated - entire chain being surrounded by a capsule. - Capsule is polypeptide Sporing - Spores are formed in culture or in soil but never in animal body during life. Chain of bacilli presents a bamboo stick appearance.